According to European laryngeal Society, Subligamental cordectomy is classified as
1. Type I
2. Type II
3. Type III
4. Type IV

Correct answer: 2. Type II

Explanation: Subligamental cordectomy is classified as Type II Excision of vocal cord after splitting the larynx (cordectomy laryngofissure) Ref: PL Dhingra; Textbook of EAR, NOSE and THROAT; edition 6; page no 310